All are true about Delirium tremens except
1. Severe depression
2. Hallucination
3. Extreme anxiety
4. Delusion

Correct answer: 1. Severe depression

Explanation: Ans. is 'a' Severe depression Delirium tremens is most severe Alcohol withdrawal syndrome with characteristic feature of -Clouding of concsiousness*, Disorientation*Hallucination*Agitation and AtaxiaInsomnia*Autonomic disturbanceDehydration * In alcohol withdrawal syndrome psychomotor activity is increased so there will be Anxiety (not depression), Insomnia (not drowsiness or hypersomnia).